Femoral hernia lies:
1. Medial to the pubic tubercle
2. Lateral and below pubic tubercle
3. Through deep inguinal ring.
4. Through Hasselbach's triangle.

Correct answer: 2. Lateral and below pubic tubercle

Explanation: Ans: b (Lateral and below pubic tubercle) Ref: Bailey & love, 24th ed, p. 1281-1282FEMORAL HERNIA* Third most common type of primary hernia.* 20 % of hernia in females and 5% in men.* Most liable to become strangulated because of narrowness of the neck of the sac and rigidity of the femoral ring.* Strangulation is the initial presentation of 40% of femoral hernia.* Right side is affected twice as often as the left and in 20% it is B/L.Differential diagnosis1. An inguinal hernia - In inguinal hernia, the neck of sac lies above and medial to the pubic tubercle where as femoral hernia lies below and lateral to the pubic tubercle.2. Saphena varix - A saccular enlargement of termination of long saphenous vein. The swelling disappears on lying flat whereas femoral hernia is still palpable.3. An enlarged femoral lymph node4. Lipoma5. Femoral aneurysm6. Psoas abcess.FEMORAL CANALFemoral canal occupies the most medial compartment of the femoral sheath and it extends from the femoral ring above to the saphenous opening below. It is 1.25 cm long and 1.25 cm wide at its base.Femoral canal contains fat, lymphatic channels and the lymph node of cloquet.